Pre-auricular sulcus helps in detection of which of the following
1. Age
2. Sex
3. Race
4. Height

Correct answer: 2. Sex

Explanation: Preauricular sulcus is present in pelvis. It is used to determine the sex of an individual. It is not frequent narrow shallow in males. It is more frequent broad and deep in females. REF: The Synopsis of Forensic Medicine and Toxicology 29th edition by Dr N.S. Narayan Reddy page no: 36.